Mechanism of action of prophylthiouracil ?
1. Prevents synthesis of thyroglobulin
2. Prevents iodine trapping
3. Prevents release of T4 & T3
4. Inhibits coupling

Correct answer: 4. Inhibits coupling

Explanation: Ans. is 'd' i.e., Inhibits coupling